"Magical thinking" is characteristically seen in
1. Shizophrenia
2. Obsessive Compulsive Disorder
3. Schizotypal personality
4. Anxiety disorder

Correct answer: 3. Schizotypal personality

Explanation: (C) Schizotypal personality # SCHIZOTYPAL PERSONALITY DISORDER (STPD) is a personality disorder characterized by a need for social isolation, anxiety in social situations, odd behavior and thinking, and often unconventional beliefs.> Characterised by eccentric behaviour, Poor rapport, Odd beliefs or magical thinking, Suspiciousness or paranoid ideas, delusion-like ideas, usually occurring without external provocation.> Treatment is almost like Shizophrenia including Neuroleptics, thixenthenes, SSRI's.> Schizotypal patients who are more obsessive-compulsive in their beliefs and behaviors - in this case SSRIs, e.g. fluoxetine, appear to be more effective.